A 45-year-old female presents to the outpatient clinic with symptoms of pain, fatigue, and weakness in both lower limbs. She gives a history of paralysis affecting both lower limbs in childhood from which she made a good functional recovery. Which of the following is the most likely suspected diagnosis -
1. Post Polio Syndrome
2. Polymyositis
3. Muscular Dystrophy
4. Neuropathy

Correct answer: 1. Post Polio Syndrome